In postmenopausal women, RANK ligand expression is
1. Decreased
2. Increased
3. Same as pre-menopause
4. First decrease to increase later

Correct answer: 2. Increased

Explanation: In post menopausal women, decreased oestrogen levels lead to increased RANK ligand expression and decreased osteoprotegerin (OPG), resulting in bone resorption.